A 20 yr old man comes with history of RTA, O/E there were multiple bruises around infront of chest region and abdominal region. The attending surgeon suspects pneumo-peritoneum and advised the intern to order for chest X-ray. What could be the best radiological view to detect pneumoperitoneum?
1. Right lateral decubitus with horizontal beam
2. Left lateral decubitus with horizontal beam
3. Chest X ray Erect
4. Left lateral decubitus with vertical beam

Correct answer: 3. Chest X ray Erect

Explanation: Best X Ray view for Pneumoperitoneum is Chest X Ray Erect IOC (for pneumoperitoneum) - CT scan Chest X ray Erect is the most sensitive Xray view for detecting air under diaphgram,an important sign of pneumoperitoneum. Causes of pneumoperitoneum:- 1.Peptic ulcer 2.Ischemic bowel 3.Necrotizing enterocolitis 4.penetrating injuries 5.during laproscopy Various Signs in pneumoperitoneum are :- - Rigler's sign - Telltale triangle sign - Football sign - Cupola sign